In sickle cell anaemia defect is in which chain ?
1. a-chain
2. B-chain
3. Both the chains
4. None of these

Correct answer: 2. B-chain

Explanation: Ans. is 'b' i.e., n-chain